Which of the following is an autosomal dominant metabolic disorder
1. Cystic fibrosis
2. Phenylketonuria
3. Alpha 1antitrypsin deficiency
4. Familial hypercholesterolemia

Correct answer: 4. Familial hypercholesterolemia

Explanation: Most of the metabolic disorder have autosomal recessive inheritance expect Her-Her's disease Left-Lesch My hand syndrome Eye-ouclar albinism Has-hunter syndrome Five -fabrys disease Pimples -porphyria Refer robins 7th/152,9/e p141